The couinaud's segmental nomenclature is based on the position of the -
1. Hepatic veins and portal vein
2. Hepatic veins and bilary ducts
3. Portal vein and bilary ducts
4. Portal vein and hepatic artery

Correct answer: 1. Hepatic veins and portal vein

Explanation: Based on the distribution of the portal vein and hepatic vein, couinaud divided functional lobes of liver into eight segments.